Autism is characterized by all except -
1. Lack of social play in child
2. Language problems
3. Stereotped behavior
4. Depression

Correct answer: 4. Depression

Explanation: Ans. is 'd' i.e.. Depression AUTISMo Autism is a pervasive development disorder (PDD) which is characterized by: -Marked impairment in social interaction : - There is no social smile or eye contact. These children prefer to play alone with inanimate objects and do not like to mingle with others (do not make friends). There is lack of attachement to parents and absence of separation anxiety.Impairment in communication (language as well as non-verbal communication): - Delayed or absence speech, lack of verbal or facial response to sounds or voices, abnormal speech patterns, echolalia, perseveration and prominent reversal (referring to self as 'you' and to others as T).Sterotyped and restricted repetitive behavior, interests and activities:- Mannerism, Sterotype behavior (head banging, body-spinning, rocking, clapping, watching own hand.Other features : - Intellectual disability (in 50-75% patient), epilepsy (in 25-35%), Hyperkinesis, inability to concentrate.o Onset of symptoms ofinfantile autism (usual form of autims) is before 2.5 - 3 years. If onset of symptoms are after 3years, it is referred to as childhood autism,o Autism is more common in boys and among low socio-economic groups,o Presently, the cause of infantile autism seems to be predominantly biological.